What is true about spermatogenesis?
1. It takes 74 days
2. Takes place in spermatic cord
3. Meiosis occurs only after secondary spermatocyte
4. Spermatid is formed from spermatozoa

Correct answer: 1. It takes 74 days

Explanation: Ans. A It takes 74 daysRef: Textbook of Human Embroyology, pg. 24* Spermatogenesis - Process of formation of spermatozoa from primitive germ cell (spermatogonia)* Spermiogenesis - Formation of spermatozoa from spermatid.* Spermatogenesis begins at-puberty (oogenesis begins intrauterine life)* Spermatogenesis continues-throughout life (oogenesis- stops at menopause)* Average time-74 days* Site- seminiferous tubule* Sperm size- 55-65 pm* Parts- head, neck, middle piece, principal piece, end piece.* Acquire motility in- epididymis.